Necrosis of liver occurs in: Piecemeal
1. Non alcoholic fatty liver disease
2. Chronic active hepatitis
3. Primary biliary cirrhosis
4. Indian childhood cirrhosis

Correct answer: 2. Chronic active hepatitis

Explanation: Piecemeal necrosis occurs in chronic active hepatitis.
Piecemal necrosis is also known as interface hepatitis.